The disease which is characterized by three D's-- diarrhea, dermatitis and dementia is due to deficiency of?
1. Vitamin A
2. Niacin
3. Folate
4. Vitamin C

Correct answer: 2. Niacin

Explanation: b. Niacin(Ref: Nelson's 20/c p 324, Ghai 8/e p 118)Diarrhea, Dermatitis & Dementia are seen in Pellagra, which is due to Niacin deficiency.